A 54-year-old man is admitted to the hospital with severe pain in his nasal cavity. Radiographic examination reveals a carcinoma in his nasal cavity. In which of the following locations would the carcinoma block the hiatus of the maxillary sinus?
1. Inferior meatus
2. Middle meatus
3. Superior meatus
4. Nasopharynx

Correct answer: 2. Middle meatus

Explanation: The maxillary sinus drains via the middle meatus, specifically via the semilunar hiatus. The middle meatus and semilunar hiatus are located under the middle nasal concha. The inferior meatus drains the lacrimal secretions carried by the nasolacrimal duct, whereas the superior meatus drains the posterior ethmoidal and sphenoid sinuses. The nasopharynx and sphenoethmoidal recess are not situated in close proximity to the maxillary sinus and are therefore not involved in its drainage.